Most potent cerebral vasodilator is
1. B blocker
2. Nitro-glycerine
3. Hyper carbia
4. Nitroprusside

Correct answer: 3. Hyper carbia

Explanation: C i.e. Hyper carbia